What is the value of diurnal variation of IOP above which diagnosis can be made as Glaucoma
1. 5 mm of Hg
2. 6 mm of Hg
3. 8 mm of Hg
4. 10 mm of Hg

Correct answer: 3. 8 mm of Hg

Explanation: Difference of IOP of eye between Morning and night  >8 mm of Hg is diagnostic Glaucoma.